Mantle irradiation is used in:
1. Leukaemia
2. Hodgkins disease
3. Chest recondaries from some cancers
4. Neuroblastoma

Correct answer: 2. Hodgkins disease

Explanation: Ans. Hodgkins disease